The most important investigation for posterior urethral value is:
1. Urethroscopy
2. IVP
3. Retrograde cystogram
4. Micturating cystogram

Correct answer: 4. Micturating cystogram

Explanation: Ans. Micturating cystogram